What is Mendelson syndrome due to:
1. Gastric Dilatation
2. Wrong intubation
3. Tracheal inflammation secondary to intubation
4. Chemical pneumonitis following aspiration

Correct answer: 4. Chemical pneumonitis following aspiration

Explanation: Ref: Miller text book of Anaesthesia. 6th editionExplanation:Mendelson"s sy ndrome is chemical pneumonitis caused by aspiration during anaesthesia, especially during pregnancy.Pneumonia develops rapidly, and within hours the patient may become tachypnoeic, hypoxic and febrile. There is minimal sputum.Patients are at high risk ifResidual gastric volume of greater than 25ml. withpH of less than 2.5Patients with a high risk should have a rapid sequence induction.High risk is defined as these factorsNon-elective surgical procedureLight anaesthesia/unexpected response to stimulationAcute or chronic, upper or lower GI pathologyObesityOpioid medicationNeurological disease, impaired conscious level, or sedationLi thotomy ports i t ionDifficult intubation/airwayGastrointestinal refluxHiatal hernia